Epithelial lining of the lingual surface of epiglottis?
1. Simple columnar
2. Simple Cuboidal
3. Pseudo stratified ciliated columnar
4. Stratified squamous epithelium

Correct answer: 4. Stratified squamous epithelium

Explanation: The epiglottis has two surfaces, a lingual and a laryngeal surface, related to the oral cavity and the larynx respectively. The entire lingual surface and the apical portion of the laryngeal surface (since it is vulnerable to abrasion due to its relation to the digestive tract) are covered by stratified squamous non-keratinized epithelium.